Drug of choice in pregnant women with secondary syphills is :
1. Doxycycline
2. Benzathine Penicillin
3. Ceftriaxone
4. Cotrimoxazole

Correct answer: 2. Benzathine Penicillin